Which of the following is the most important antigen-presenting cell (APC) for initiating T-cell response against protein antigens?
1. NK cell
2. Dendritic cell
3. Macrophage
4. B-lymphocyte

Correct answer: 2. Dendritic cell

Explanation: Naive T cell get activated by antigen presenting cells such as Dendritic cell Macrophage B-lymphocyte Most important APC in activating naive T cell is dendritic cell.